Stress ulcers seen in burns are -
1. Curling' ulcer
2. Cushing's ulcer
3. Meleney's ulcer
4. Rodent ulcer

Correct answer: 1. Curling' ulcer